Which of the following substances acts to increase the release of Ca2+ from endoplasmic reticulum?
1. Inositol triphosphate
2. Parathyroid hormone
3. 1,25 dihydroxy cholecalciferol
4. Diacylglycerol

Correct answer: 1. Inositol triphosphate

Explanation: Ans. A. Inositol triphosphateInositol triphosphate (IP3 ) and diacylglycerol (DAG) are second messengers for G protein coupled receptors. IP3 stimulates release of calcium from endoplasmic reticulum. DAG activates protein kinase C.